Heart failure cells contain-
1. Hemosiderin
2. Lipofuschin
3. Myoglobin
4. Albumin

Correct answer: 1. Hemosiderin

Explanation: Ref:Textbook of pathology (Harsh mohan) 6th edition,page no.106 CVC Lung Chronic venous congestion of the lung occurs in left heart failure , especially in rheumatic mitral stenosis so that there is consequent rise in pulmonary venous pressure. Grossly, The lungs are heavy and firm in consistency. The sectioned surface is dark The sectioned surface is rusty brown in colour referred to as brown induration of the lungs. Histologically, The alveolar septa are widened due to the presence of interstitial oedema as well as due to dilated and congested capillaries. The septa are mildly thickened due to slight increase in fibrous connective tissue. Rupture of dilated and congested capillaries may result in minute intra-alveolar haemorrhages. The breakdown of erythrocytes liberates haemosiderin pigment which is taken up by alveolar macrophages, so called heart failure cells, seen in the alveolar lumina. The brown induration observed on the cut surface of the lungs is due to thepigmentation and fibrosis.